Total osmolarity of reduced osmolarity ORS -
1. 270
2. 245
3. 290
4. 310

Correct answer: 2. 245

Explanation: Ans. is 'b' i.e., 245 * Osmolarity of new ORS (reduced osmolarity ORS) is 245 mmol/litre.Composition of reduced osmolarity ORSReduced osmolarity ORSgrams/litreSodium chloride2.6Glucose, anhydrous13.5Potassium chloride1.5Trisodium citrate, dihydrate2.9Total weight20.5Reduced osmolarity ORSmmol/litreSodium75Chloride65Glucose, anhydrous75Potassium20Citrate10Total osmolarity245